A 50-year-old hypertensive woman complains of numbness and weakness in her left leg and foot. Which of the following arteries occlusion can account for this complaint?
1. Anterior cerebral
2. Anterior choroidal
3. Interior carotid
4. Middle cerebral

Correct answer: 1. Anterior cerebral

Explanation: The anterior cerebral artery perfuses the paracentral lobule, which represents the motor and sensory areas of the leg and foot areas.